The drug inhibiting DNA-dependent RNA polymerase in Mycobacteria is -
1. INH
2. Rifampicin
3. Ciprofloxacin
4. Ethionamide

Correct answer: 2. Rifampicin

Explanation: Ans. is 'b' i.e., Rifampicin Mechanism of action of important antitubercular drugs o Rifampicin --> Inhibits DNA dependent RNA synthesis by inhibiting RNA polymerase. o INH --> Inhibits synthesis of mycolic acid which is a component of mycobacterial cell wall. o Pyrazinamide --> Inhibits synthesis of mycolic acid. o Streptomycin --> Inhibits protein synthesis (translation). o Ethambutol --> Inhibits incorporation ofmycolic acid into bacterial cell wall by inhibiting arbinosyltransferase.